Abductor of vocal cord is?
1. Posterior cricoarytenoid
2. Cricothyroid
3. Interarytenoid
4. Lateral cricoaretynoid

Correct answer: 1. Posterior cricoarytenoid

Explanation: ANSWER: (A) Posterior cricoarytenoidREF: Dhingra 4th ed p. 259Repeat from December 2009, December 2010INTRINSIC MUSCLES ACTING ON VOCAL CORDS:AbductorsPosterior cricoarytenoidAdductorsLateral cricoarytenoid, Lnterarytenoid (transverse arytenoid) Thyroarytenoid (external part)TensorsCricothyroid Vocalis (internal part of thyroarytenoid)INTRINSIC MUSCLES ACTING ON LARYNGEAL INLET:Openers of laryngeal inletThyroepiglottic (part of thyroarytenoid)Closers of larylngeal inletlnterarytenoid (oblique part), Aryepiglottic (posterior oblique part of interarytenoids)